Ringed Sideroblasts are seen in -
1. Iron deficiency anemia
2. Myelodysplastic syndrone
3. Thalassemia
4. Anemia of chronic disease

Correct answer: 2. Myelodysplastic syndrone

Explanation: Sideroblastic anemia can be hereditary (due to decreased ALA synthase activity) or acquired (secondary to leukemias, myelodysplastic syndrome, alcoholism, copper deficiency, pyridoxine deficiency or lead poisoning).